In which case Immunoguided surgery is done ?
1. Ca colon
2. Ca pancreas
3. Ca jejunum
4. Ca anal canal

Correct answer: 1. Ca colon

Explanation: Ans is 'a' ie Ca Colon Radioinununoguided surgery (RIGS) is a new technology capable of detecting minimal neoplastic lesions using radiocolloids, intraoperatively. It has numerous uses in oncology. it uses colloid radiotracers, monoclonal antibodies or non-immunological tracers. Its uses are Radioguided Occult Lesion Localization (ROLL) and Sentinel Lymph-Node Biopsy (SLNB). The malignancies mentioned in the above given web addresses of Pubmed, in which RIGS is being used are: Breast cancer - Colorectal cancer - Non small cell lung cancer